The most common form of peripheral neuropathy associated with HIV infection
1. Distal symmetric polyneuropathy
2. Autonomic neuropathy
3. Lumbosacral polyradiculoneuropathy
4. Multiple mononeuropathy

Correct answer: 1. Distal symmetric polyneuropathy

Explanation: In HIV distal symmetric variety is the most common form of peripheral neuropathy